What's the type of sampling, if a random sample is taken from a characteristic population. eg. Hindus, Muslims, Christian etc-
1. Simpe random
2. Stratified random
3. Systematic random
4. Cluster

Correct answer: 2. Stratified random

Explanation: Stratified random sample is deliberately drawn in a systematic way so that each portion of the sample represents corresponding strata of universe. Ref: 25th edition, Park's Textbook of Preventive and Social Medicine, Page no. 913